What is the cause of hyperkalemia in chronic kidney failure
1. Release from cells
2. Hyperinsulinemia
3. Decreased excretion
4. Hyperaldosteronism

Correct answer: 3. Decreased excretion

Explanation: Answer- C. Decreased excretion